Rate of newly synthesized osteoid minerlisation can be best estimated by:
1. Von Kossa Stain
2. Alizarin red stain
3. Reticulin stain
4. Tetracycline labelling

Correct answer: 4. Tetracycline labelling

Explanation: Best method to detect osteoid mineralisation is tetracycline labelling.